Schuller's view and law's view is for
1. Sphenoid sinus
2. Mastoid air cells
3. Foramen ovale and spinosum
4. Carotid canal

Correct answer: 2. Mastoid air cells

Explanation: Law's view It is lateral oblique view of mastoid. Patient lies in such a way that sagittal plane of the skull is parallel to the film and X-ray beam is projected 15deg cephalocaudal Structures seen are: 1. External auditory canal superimposed on internal auditory canal 2. Mastoid air cells 3. Tegmen 4. Lateral sinus plate 5. Temporo mandibular joint. (Key area of the mastoid, i.e. attic, aditus and antrum are not well seen) Schuller's view Similar to Law's view but cephalocaudal beam makes an angle of 30deg to the sagittal. Structures seen are: 1. External canal superimposed on internal canal 2. Mastoid air cells 3. Tegmen 4. Lateral sinus plate 5. Condyle of mandible 6. Sino-dural angle 7. Antrum and upper part of attic (i.e. key area). (This view is taken to see the extent of pneumatisation, destruction of intercellular septa as in mastoiditis, location of sinus plate and tegmen, cholesteatoma and longitudinal fracture of 6, petrous pyramid)